A 17-year-old high school tennis player sustains a right midshaft clavicle fracture. Which of the following increases the risk of nonunion in the non operative treatment of clavicle fractures
1. Sling treatment
2. Figure-of-eight bandage treatment
3. Displacement and comminution
4. Male sex

Correct answer: 3. Displacement and comminution

Explanation: Displacement and comminution have been shown to increase risk of non-union in nonoperative management. There are no significant differences between outcomes when using sling immobilization versus a figure-of-eight bandage.